Microscopic examination of a pus sample shows a filamentous organism which is acid fast with 1% sulphuric acid. Which of the following organisms could it be?
1. Actinomyces israeli
2. Nocardia brasiliensis
3. Streptomyces somaliensis
4. Blastomyces dermatitidis

Correct answer: 2. Nocardia brasiliensis